Day care anesthesia is best achieved with
1. Enflurane
2. Isoflurane
3. Propofol
4. Methoxyflurane

Correct answer: 3. Propofol

Explanation: Propofol